Which is not involved in Ankylosing spondylitis -
1. Knee & Ankle
2. Sacroilac Jt.
3. Wrist & elbow
4. Spine

Correct answer: 3. Wrist & elbow

Explanation: Joints involvement in AS
Sacroiliac > spine & costovertebral > Hip > shoulder > knee > ankle